Testicular tumour which responds best to radiation is:
1. Teratoma
2. Seminoma
3. Embryonal cell carcinoma
4. None of the above

Correct answer: 2. Seminoma

Explanation: Ans. Seminoma